Artery lying in Guyon's canal is:
1. Ulnar artery
2. Radial artery
3. Brachial artery
4. Subclavian artery

Correct answer: 1. Ulnar artery

Explanation: The ulnar artery travels deep to the FCU muscle in the forearm. When the FCU becomes tendinous, the ulnar artery resides deep and slightly radial to it. At the wrist, the artery travels between the hamate and pisiform bones superficial to the transverse carpal ligament (known as Guyon's canal) into the palm. Ref: Schwartz's principle of surgery 9th edition, chapter 44.